Block vertebrae are seen in
1. Pagets disease
2. Leukemia
3. TB
4. Klippel-Feil syndrome

Correct answer: 4. Klippel-Feil syndrome

Explanation: A block vertebra is a type of vertebral anomaly where there is a failure of separation of two or more adjacent vertebral boidesAssociationsThere is a frequent association with hemivertebrae/absent vertebra above or below block level, posterior element fusionFusion of multiple cervical vertebral bodies is also seen in Klipple-Feil syndrome and VACTREL anomaly(Refer: Mohindra's Fundamentals of Orthopedics, 2nd edition, pg no. 380 - 381)